Aortic diameter less than--cm at the level of the renal arteries should raise the suspicion of hypovolemic shock
1. 12 mm
2. 15 mm
3. 20 mm
4. 25 mm

Correct answer: 1. 12 mm

Explanation: Ans AThe CT criteria for shock bowel are bowel-wall thickening greater than 3 mm and mucosal enhancement greater than the psoas muscle. The finding of a collapsed IVC was defined as an anteroposterior diameter of less than 9 mm on at least three contiguous sections. A collapsed aorta was defined as an anteroposterior diameter less than 1.3 cm at the levels of 2 cm above and 2 cm below the renal arteries. CT findings of shock pancreas were peripancreatic fluid and variable pancreatic enhancement. Hypoenhancement of the spleen and liver was assessed subjectively. Hypotension was defined as a systolic blood pressure less than 90 mm Hg or a diastolic blood pressure less than 60 mm Hg.